Three mix MP triple antibiotic paste consists of
1. Ciproflox + cephixime + Minocycline
2. Norflox+ tinidazole+cephixime
3. Ciproflox + metronidazole +Minocycline
4. Norflox + Cehphixime +Minocycline

Correct answer: 3. Ciproflox + metronidazole +Minocycline

Explanation: Triple antibiotic paste

Consists of metronidazole, ciprofloxacin, and minocycline in a macrogol/propylene glycol ointment.
It is inserted into canal with a sterile Lentulo spiral and left in the canal for 2-4 weeks.
Advantages:  -


Very effective in elimination of intracanal microbes
Broad spectrum action
Easy to prepare as ingredients are easily prepared


Disadvantages of triple AB paste:


Difficult to test the antimicrobial effectiveness in endodontic models due to absence of an inactivator to prevent the carryover effect.
Combination of bactericidal and bacteriostatic antibiotic is not rational scientifically
Tetracycline analogs like minocycline can cause discoloration of tooth due to diffusion into dentinal tubules. Hence the mix should never be left in the coronal pulp chamber